Appendices epiploicae present in
1. Appendix
2. Caecum
3. Rectum
4. Sigmoid colon

Correct answer: 4. Sigmoid colon

Explanation: The epiploic appendices are small pouches of the peritoneum filled with fat and situated along the colon, but are absent in the rectum. Ref - researchgate.net